The area, which is most prone to infection
1. Marginal gingiva
2. Sulcular epithelium
3. Interdental col
4. Attached gingiva

Correct answer: 3. Interdental col